A 19-year-old female with short stature, wide spread nipples and primary amenorrhea most likely has a karyotype of:
1. 47, XX + 18
2. 46, XXY
3. 47, XXY
4. 45 X0

Correct answer: 4. 45 X0

Explanation: Given features suggests the diagnosis of Turner's syndrome. Turner's syndrome Most common sex chromosomal disorder in phenotypic females. Results from complete or partial loss of one X chromosome (45, XO) Characterized by hypogonadism in phenotypic females.